The complement is fixed best by which of the following immunoglobulins -
1. IgG
2. IgM
3. IgA
4. IgD

Correct answer: 2. IgM

Explanation: Ans. is 'b' i.e., IgMIgM is the most effective antibody to fix complement.